Morbid jealousy is diagnostic of :
1. Cocaine
2. Cannabis
3. Alcoholism
4. Tabacco Intoxication

Correct answer: 3. Alcoholism

Explanation: C i.e. Alcoholism